In accelerated HTN what is metabolic defect
1. Normal non-ionic metabolic acidosis
2. Ionic gap met acidosis
3. Hypomagnesmia
4. Metabolic alkalosis

Correct answer: 4. Metabolic alkalosis

Explanation: Ref Harrison 19 th ed pg 325 accelerated HTN ,is a state in which there is renal underperfusion, high renin and increased aldosterone. This may result in hypokalemia and metabolic alkalosis